All have antioxidant property except -
1. Catalase
2. Glutathione peroxidase
3. Phosphorylase
4. Superoxide dismutase

Correct answer: 3. Phosphorylase

Explanation: Ans, is 'c' i.e., Phosphorylase o There are two types of antioxidant systems:-1. Enzymatic antioxidant systemThis includeCatalaseSuperoxide dismutase (SOD)Glutathione peroxidase2. Non-enzymatic antioxidant systemThis is further subdivided intoVitamins : Vitamin E, Vitam in A & beta carotene, Vitamin C.Minerals : Selenium, Copper, Zinc, ManganeseTissue proteins : Transferrin, ferritin, lactoferrin, ceruloplasminAmino acids : Glutathione, Cysteine